water hammer pulse is seen in ?
1. Aortic regurgitation
2. mitral stenosis
3. Aortic stenosis
4. left ventricular failure

Correct answer: 1. Aortic regurgitation

Explanation: ref : harrisons 21st ed